Actinomyces differs from bacteria in that -
1. Gram positive
2. Filamantous organism
3. Non-motile
4. Non-acid fast

Correct answer: 2. Filamantous organism

Explanation: Ans. is 'b' i.e., Filamantous organism o Actinomyces are filamentous whereas bacteria are non-fllamentous organismso These are considered as transitional form between bacteria and fungi.o Actinomyces are 'gram-positive' 'non-motile' 'non-capsulated' 'non-acid fast' and 'non-sporing' filaments that break up into bacillary and coccoid elementso Two important species are A. israelii and A. bo vis. Most cases are due to A israelii.o Actinomyces are members of normal oral flora and are often cultured from bronchi, G.I. tract, and the female genital tract.o Actinomycosis in human beings is an endogenous infection.o The critical step in the development of actinomycosis is disruption of mucosal barrier.o Foreign bodies appear to facilitate infection. This association most frequently involves IUCD.